Which one of the following is a non - steroidal contraceptive :
1. Ru - 486
2. Minipill
3. NET - EN
4. Centchroman

Correct answer: 4. Centchroman

Explanation: Centchroman